Gillette's space is -
1. Retropharyngeal space
2. Peritonsillar space
3. Parapharyngeal space
4. None

Correct answer: 1. Retropharyngeal space

Explanation: Retropharyngeal space is divided into two lateral spaces by a fibrous septa.
These two lateral spaces are known as space of Gillette.